Obstacles in concomitant squint type is:
1. Motor obstacles
2. Sensory obstacles
3. Central obstacles
4. All of the above

Correct answer: 4. All of the above

Explanation: CONCOMITANT SQUINT - type of manifest squint in which the amount of deviation in the squinting eye remains constant in all directions of gaze, no limitation of ocular movements.. Any obstacles to the development of these processes result in concomitant squint . (1) Sensory obstacles -hinder the formation of a clear image in one eye. E.g. *Refractive errors*Prolonged use of incorrect spectacles*Anisometropia*Media opacities - Corneal/Lenticular opacities (2) motor obstacles - hinder the maintenance of eyes in the correct positional relationship in primary gaze or during ocular movements . E.g. - Congenital abnormalities of shape/size of the orbit*Abnormalities of extraocular muscles (3) central obstacles -*Deficient development of fusion faculty*Abnormalities of cortical control of ocular movements as occurs in mental Trauma and hyperexcitability of CNS during teething.